A young male patient presented with urethral discharge. On urine examination pus cells were found but no organisms. Which method would be the best for culture?
1. McCoy cell line
2. Thayer martin medium
3. L.J. medium
4. Levinthal medium

Correct answer: 1. McCoy cell line

Explanation: Because of absence of organisms in urine examination, the infection is most probably nongonococcal. The most common non gonococcal urethritis is chlamydia urethritis. Chlamydiae grow in cultures of a variety of eukaryotic cells lines. McCoy cells treated with cycloheximide commonly are used to isolate chlamydiae; C pneumoniae grows better in HL or HEp-2 cells. All types of chlamydiae proliferate in embryonated eggs, particularly in the yolk sac. Ref: Brooks G.F. (2013). Chapter 27. Chlamydia Spp.. In G.F. Brooks (Ed), Jawetz, Melnick, & Adelberg's Medical Microbiology, 26e.